All are features of absence seizures except -
1. Usually seen in childhood
2. 3-Hz spike wave in EEG
3. Postictal confusion
4. Precipitation by hyperventilation

Correct answer: 3. Postictal confusion

Explanation: Ans. is 'c' i.e., Post ictal confusion "Absence seizures are characterized by sudden brief lapse of consciousness without loss of postural control. The seizure typically lasts for only seconds, consciousness returns as suddenly as it was lost and there is no post ictal confusion". - Harrison Absence seizures: (Petitmal seizures) o Begin in childhood (4-8 years) or early adolescence and are the main seizure type in children with epilepsy. o There is sudden brief loss of consciousness, which lasts for a few seconds. No loss of posture No breathing difficulty No incontinance of urine or stool o May be accompanied by subtle bilateral motor signs such as Rapid blinking of eyelids Small amplitude clonic movements of the hands Chewing movements o Absence seizures may occur in multiple every day (can occur hundreds of times per day) o The electrophysiological hallmark of typical absence seizure is a generalized symmetric 3 Hz spike and slow wave discharge that begins and ends suddenly on a normal EEG background. o Hyperventilation tends to provoke these electrographic discharge and even the seizure themselves and is routinely used when recording the EEG Hyperventilation often precipitates the attacks. o Drug of choice for absence seizures is Valproate (Previously it was ethosuxamide).